In a case of myasthenia gravis, CT Chest shows anterior mediastinal mass. Diagnosis is?
1. Retrosternal goiter
2. Thymic Hyperplasia
3. Hilar Lymphadenopathy
4. Aortic Aneurysm

Correct answer: 2. Thymic Hyperplasia

Explanation: Thymus gland abnormalities are seen in 75% of anti-Ach Receptor positive antibodies patients. CT chest can identify a Thymic hyperplasia or a thymoma which though benign can produce mass effects.